Who is the chief of WHO ?
1. Tedros Adhanom
2. Harshvardhan
3. António Guterres
4. None of the above

Correct answer: 1. Tedros Adhanom